Left trisegmentectomy involves removal of
1. Segment II, III, IV, V, VIII
2. Segment II, III, IV
3. Segment IV, V, VI, VII, VIII
4. Segment V, VI, VII, VIII

Correct answer: 1. Segment II, III, IV, V, VIII

Explanation: Trisegmentectomy Right trisegmentectomy or extended right hepatectomy : Complete resection of segment IV with the right liver (Removal of segment IV, V, VI, VII, VIII Left trisegmentectomy or extended left hepatectomy : Complete resection of segment V and VIII with left liver (removal of segment II, III, IV, V, VIII) Ref: Blumgart 5th edition Pg no : 1512-1513